Difference between antemortem & postmortem blisters -
1. Size
2. Colour of the blister fluid
3. Chloride and a albumin content
4. PM blister is wet

Correct answer: 3. Chloride and a albumin content

Explanation: BLISTERS: ANTEMORTEM: Contains serous fluid with proteins and chlorides. Base is inflamed POSTMORTEM: Contain air and thin fluid only REF: The Synopsis of Forensic Medicine and Toxicology 29th edition page no: 164.